Sudden headache with LOC in patient with renal cysts, intracranial bleed SAH (berry aneurysm). Diagnosis is
1. ADPKD
2. Haemangioma of liver
3. Meningioma
4. Head injury

Correct answer: 1. ADPKD

Explanation: (A) ADPKD# POLYCYSTIC KIDNEY DISEASE (PKD OR PCKD, also known as polycystic kidney syndrome) is a cystic genetic disorcer of the kidneys. There are two types of PKD: autosomal dominant polycystic kidney disease (ADPKD) and the less-common autosomal recessive polycystic kidney disease (ARPKD).> Major extrarenal complications of ADPKD are: Cerebral aneurysms; Hepatic and pancreatic cysts; Cardiac valve disease; Colonic diverticula; Abdominal wall and inguinal hernia. Malformations of selected vasculature, including intracranial aneurysms and aortic root dilatation (normal diamete' <35 mm), may be due to altered expression and/or function of the PKD gene in arterial smooth muscle cells. Cervicocephalic artery dissections, dolichoectasias, and central retinal vascular occlusions have also been associated with ADPKD.> CEREBRAL ANEURYSM: A ruptured cerebral aneurysm, resulting in a subarachnoid or intracerebral hemorrhage, is the most serious complication of polycystic kidney disease. The prevalence of aneurysms in ADPKD is approximately 5 percent in young adults and increases with age to as high as 20 percent in patients 60 years and older.